Which vitamin deficiency is most commonly seen in a pregnant mother who is on phenytoin therapy for epilepsy:
1. Vitamin B6
2. Vitamin B12
3. Vitamin A
4. Folic acid

Correct answer: 4. Folic acid

Explanation: Hypotension and arrythmias occur only on iv injection.
Vitamin deficiencies associated with phenytoin: — Folic acid (most common)

– Vitamin D
– Vitamin K
These vitamin deficiencies occur in all patients an phenytoin therapy and have nothing do with pregnancy. Hence all patients on phenytoin are advised to take folic acid supplementation.